What is role of insulin in lipid metabolism:
1. Active lipoprotein lipase
2. Increase lipolysis
3. Activate hormone sensitive lipase
4. All

Correct answer: 1. Active lipoprotein lipase

Explanation: A i.e. Active lipoprotein lipase